Pharmacodynamics deals with:
1. Mode of excretion of drug
2. Mechanism of action
3. Transport of drug
4. Latency of onset

Correct answer: 2. Mechanism of action

Explanation: Ans. B. Mechanism of actionPharmacodynamics is effect of drug on the body and Pharmacokinetics is what body does to the drug. Pharmacodynamics describes the various mechanism of the drugs and Pharmacokinetics include absorption, distribution, metabolism and excretion. Answer is B